The term 'MERMER' is related to
1. Brain fingerprinting
2. Narcoanalysis
3. DNA fingerprinting
4. Polygraph test

Correct answer: 1. Brain fingerprinting

Explanation: MERMER ('Memory and Encoding Related Multifaceted Electroencephalographic Response') is the principle used in brain fingerprinting or brain mapping. Ref - Krishan Vij textbook of forensic medicine and toxicology 5e pg : 571